Recurrent genital ulcer is caused by
1. HSV 1
2. HSV 2
3. HSV 3
4. HSV 4

Correct answer: 2. HSV 2

Explanation: Ans. is 'b' i.e., HSV 2 o Most common cause of recurrent genital ulcer is HSV.o Infact, the characteristic feature of Herpes genitalis is that it is recurrent,o Genital ulcer is caused by HSV 2.